Chancroid is caused by:
1. Herpes simplex virus
2. HPV
3. T. pallidum
4. H.ducreyi

Correct answer: 4. H.ducreyi

Explanation: Ans. D: H.Ducreyi Chancroid is a sexually transmitted infection caused by the bacteria Haemophilus ducreyi. Most people with chancroid will develop one or more red, inflamed lumps in the genital area 3-7 days after being infected during sexual intercourse. These become larger and pus-filled until they rupture, leaving a painful ulcer. If left untreated, 50% of cases develop infected lymph glands, which become large, hard painful lumps (buboes), on either one or both sides of the groin. The site of most infections in men is the foreskin but other parts of the penis may be affected. In women, ulcers may be located on the labia, thigh, perineum and cervix. Women generally have less specific symptoms such as painful urination or pain on passing bowel motions (defaecation), vaginal discharge, painful sexual intercourse (dyspareunia) and rectal bleeding.